In a neonate, cessation of breathing for 10 second with bradycardia is:
1. Apnea
2. Dyspnea
3. Cheyne Stokes respiration
4. None

Correct answer: 1. Apnea

Explanation: a. Apnea(Ref: Nelson's 20/e p 849)Apnea in a newborn is defined as: cessation of respiration for 20 seconds with or without bradycardia and cyanosis or cessation of respiration for less than 20 seconds if it is associated with bradycardia or cyanosis.